The CAD-CAM system uses
1. Cadmium in castings
2. A porcelain furnace with very high temperature
3. uses a video camera to all the prepared tooth
4. None of the above

Correct answer: 3. uses a video camera to all the prepared tooth